False about asteroid hyalosis
1. Calcium bodies in vitreous cavity
2. Degenerative condition of the eye
3. Usually bilateral
4. All of the above

Correct answer: 3. Usually bilateral

Explanation: Asteroid hyalosis is usually unilateral.